Consumption of which of the following is not associated with development of diffuse nontoxic goiter?
1. Cauliflower
2. Cassava root
3. Brussel sprouts
4. Eggplant

Correct answer: 4. Eggplant

Explanation: Certain dietary substances interfere with thyroid hormone synthesis at some level, these are termed 'goitrogenic'. Vegetables belonging to the Brassicaceae (Cruciferae) family (e.g., cabbage, cauliflower, Brussels sprouts, turnips, and cassava), has been documented to be goitrogenic. Native populations subsisting on cassava root are particularly at risk. Cassava contains a thiocyanate that inhibits iodide transport within the thyroid, worsening any concurrent iodine deficiency. Eggplant/brinjal is not associated with goitrogenesis.